Which is not diagnostic of antemortem drowning?
1. Water in the small intestine
2. Emphysema aquosum
3. Mud in the upper airways
4. Haemorrhage in the middle ear

Correct answer: 3. Mud in the upper airways

Explanation: SIGNS OF ANTEMORTEM DROWNING External findings: Cadaveric spasm holding grass, gravel and sand in hand Fine, white lathery froth in mouth & nose. Internal findings Presence of froth mixed with sand particles in the trachea & bronchi (particularly in the lower airways) Mud in the upper airway alone may be seen in post-mortem drowning as well. Presence of water in stomach & small intestine Presence of water and hemorrhage in middle ear Non specific signs: Cutis anserina Washerwoman's hands